High Anion Gap Acidosis is seen in all of the following conditions, EXCEPT:
1. Diabetic Ketoacidosis
2. Lactic Acidosis
3. Renal Tubular Acidosis
4. Methanol Poisoning

Correct answer: 3. Renal Tubular Acidosis

Explanation: Proximal and distal renal tubular acidosis is associated with non anion gap metabolic acidosis. In this, the reciprocal changes in chloride and bicarbonate result in a normal anion gap. Must know: Causes of high anion gap acidosis are: Lactic acidosis Ketoacidosis: Diabetic, alcoholic, starvation Toxins: Ethylene glycol, methanol, salicylates, propylene glycol and pyroglutamic acid Acute and chronic renal failure Ref: Harrison's Principles of Internal Medicine, 18th edn, chapter 47